True about genetics of cancer -
1. Topoisomerase II is useful for breaking double stranded DNA
2. Increased telomerase activity enhances anti tumour effect
3. Maximum synthesis of DNA occurs during G2 phase
4. Transition from G2 to M phase is important in blockage of cancer spread

Correct answer: 1. Topoisomerase II is useful for breaking double stranded DNA